Fasting blood sugar levels to diagnose overt diabetes:
1. 106 mg/dL
2. 116mg/dL
3. 126 mg/dL
4. 140 mg/dL

Correct answer: 3. 126 mg/dL

Explanation: Ans is c, i.e. 126mg/dL(William obs 25/e pg 1099)Diagnosis of overt diabetesRandom plasma glucose level >200mg/dL plus classic signs & symptoms like polydipsia, polyuria and unexplained weight lossFasting glucose level >125mg/dLAs per ADA (2017) & WHO (2013); even a plasma glucose level >200mg/dL measured 2 hours after 75 g of oral glucose lead is diagnostic of overt diabetes